Meniere's disease is -
1. Perilymphatic hydrops
2. Endolymphatic hydrops
3. Otospongiosis
4. Coalescent mastoiditis

Correct answer: 2. Endolymphatic hydrops

Explanation: Ménière’s disease, which is an idiopathic lesion, is a clinical diagnosis. The following conditions, which are included in Ménière’s syndrome or secondary Ménière’s disease, can mimic the clinical features of Ménière’s disease and should be kept in mind.

Migraine and basilar migraine
Autoimmune disease of inner ear and otosclerosis
Syphilis and Cogan’s syndrome
Cardiogenic
Vertebral basilar insufficiency
Trauma: Head injury or ear surgery
Acoustic neuroma

Also Know

L ermoyez syndrome is a variant of Meniere’s disease, where initially there is deafness and tinnitus, vertigo appears later when deafness improves.